Malignant hyperthermia is most common with
1. Succinyl Choline
2. Gallamine
3. Dantrolene
4. Ketamine

Correct answer: 1. Succinyl Choline

Explanation: A i.e. Succinyl choline